The most important prognostic factor in breast carcinoma is
1. Histological grade of the tumour
2. Stage of the tumour at the time of diagnosis
3. Status of estrogen and progesterone receptors
4. Over expression of p53 tumor suppressor gene.

Correct answer: 2. Stage of the tumour at the time of diagnosis